The substance that accumulates in cardiacmyxoma is –
1. Mucopolysaccharides
2. Sialo mucin
3. Gelatin
4. Glycoprotein

Correct answer: 1. Mucopolysaccharides

Explanation: - Myxomasare composed of stellate or globular myxoma (lepidic cell, endothelial cells, smooth muscle cells and undifferentiated cells embedded within abundant acid mucopolysaccharidesusbstance.